Glycine participates in the biosynthesis of all, EXCEPT:
1. Heme
2. Creatine
3. Pyrimidine
4. None of the above

Correct answer: 3. Pyrimidine

Explanation: Glycine participates in the biosynthesis of heme, purines, creatine, and N-methylglycine (sarcosine). Ref: Harper 28th edition, chapter 30.